Persons with intermittent explosive disorder generally display all of the following except?
1. Aggressive outbursts and violence
2. Destruction of property
3. Remorse, regret and embarrassment about their actions
4. Bulimia

Correct answer: 4. Bulimia

Explanation: Intermittent explosive disorder is characterized by repeated outbursts of aggressive, violent behavior during which person may attack and harm others and vandalize and destroy property. Following these outbursts they are often contrite, expressing remorse, regret and embarrassment about their actions.